Reduviid bug is a vector for the transmission of-
1. Relapsing fever
2. Lyme's disease
3. Scrub typhus
4. Chaga's disease

Correct answer: 4. Chaga's disease

Explanation: Ans. is 'd' i.e., Chagas disease ARTHROPOD - BORNE DISEASES Arthropod Diseases transmitted 1. Mosquito Malaria, filaria, viral encephalitis (e.g., Japanese encephalitis), viral fevers (e.g., dengue, West Nile, viral haemorrhagic fevers (e.g., yellow fever, dengue haemorrhagic fever) 2. Housefly Typhoid and paratyphoid fever, diarrhoea, dysentery, cholera, gastro? enteritis, amoebiasis, helminthic infestations, poliomyelitis, conjunctivitis, trachoma, anthrax, yaws, etc. Sandfly Kala - azar, oriental sore, sandfly fever, oraya fever Tsetse fly Sleeping sickness Louse Epidemic typhus, relapsing fever, trench fever, pediculosis Rat flea Bubonic plague, endemic typhus, chiggerosis, hymenolepsis diminuta Blackfly Onchocerciasis Reduviid bug Chagas disease Hard tick Tick typhus, viral encephalitis, viral fevers, viral haemorrhagic fever, (e.g., Kyasanur forest disease), tularemia, tick paralysis, human babesiosis. Soft tick Q fever, relapsing fever, KFD Trombiculid mite Scrub typhus, Rickettsial - pox Itch - mite Scabies Cyclops Guinea - worm disease, fish tapeworm (D. latus) Cockroaches Enteric pathogens.